Most vascular part of a bone is:
1. Epiphysis
2. Metaphysis
3. Diaphysis
4. Epiphyseal cartilage

Correct answer: 2. Metaphysis

Explanation: Ans: b (Metaphysis) Ref: Maheswari, 3rd ed, (Rev)p. 157Metaphysis is the most vascularised zone of boneDue to which it becomes a favourite site for In metaphysis vessels are arranged in the form of loops(hairpin arrangement)|Blood stasis -- bacteria settle|Most common site for osteomyelitisosteomyelitis.Thus metaphysis becomes the most common site prone for osteomyelitis.Note:Strongest part of bone- diaphysis